"Cubitus-valgus" deformity is complication of:
1. Lateral condyle of humerus
2. Intercondylar of humerus
3. Of the olecranon
4. Head of the radius

Correct answer: 1. Lateral condyle of humerus

Explanation: Ans. is 'a' lateral condyle of humerus Cubitus-varus deformity is a complication of - Malunion in supracondylar humerus*. Dinner fork deformity is a complication of - Malunion in colies *